Most common renal tumor in infant:-
1. Renal cyst
2. Congenital mesoblastic nephroma
3. Neuroblastoma
4. Nephroblastoma

Correct answer: 2. Congenital mesoblastic nephroma

Explanation: Most common renal tumor in children Congenital mesoblastic nephroma. PEDIATRIC TUMORS * MC malignant tumor of infancy * MC extra-cranial solid tumor in children * MC abdominal malignancy in children * NeuroblastomaQ * MC primary malignant renal tumor of childhood * Wilms' tumorQ * MC renal tumor of infancy * Congenital mesoblastic nephromaQ * MC soft tissue tumor in infants & children * RhabdomyosarcomaQ * MC solid tumor of childhood * Brain tumorQ * MC cancer of childhood * LeukemiaQ(30%) >Brain tumorsQ(22%)